Which of the following is the characteristic histological feature of HIV associated collapsing glomerulopathy?
1. Crescent formation
2. Mesangial deposition
3. Subepithelial deposition with endothelial cell proliferation
4. Hypertrophy and proliferation of visceral epithelial cells

Correct answer: 4. Hypertrophy and proliferation of visceral epithelial cells

Explanation: HIV associated Nephropathy- leads to development of FSGS ( focal segmental glomerulosclerosis ) Most commonly associated with HIV is collapsing glomerulopathy. These patients have rapid kidney deterioration . Histologically, it is associated with hypertrophy & proliferation of visceral epithelial cells.